Purtscher's retinopathy is due to
1. Tubercular hypersensitivity
2. Trauma
3. Tyrosinase deficiency
4. Lipofuschin deposition in RPE

Correct answer: 2. Trauma

Explanation: It is a hemorrhagic vasculopathy associated with severe head trauma.